Cephalic index is for determination of -
1. Sex
2. Race
3. Height
4. Weight

Correct answer: 2. Race

Explanation: Ans. is 'b' i.e., Race Race determination of skeletonCephalic Index (Cl)Cephalic index is defined as the index of breadth of skull.Max. breadth of skull ,Cephalic index = ------------------------------------------------------100Max. AP length of skullBased of cephalic index races are clasified into following threeDolichocephalic (long headed) : Cephalic index is 70-75 and is a feature of Caucasions, Pure Aryan (Indians), Aborigines, and Negroes.Mesaticephalic (medium headed) : Cephalic index is 75-80 and is a feature of Europeans, and Chinese.Brachycephalic (short headed) : Cephalic index is more than 80 and is a feature of Mongolian.Brachial IndexBrachial index is defined asLength of radiusBrachial index = --------------------------------------- x 100Length of humerusBrachial index is 74.5 in Europeans and 78.5 in Negroes.C) Crural indexIt is defined asLength of tibiaCrural index = ------------------------------------ x 100Length of femurCrural index is 83.3 in Europeans and 86.2 in Negroes.Humero-femoral index (HF index)It is defined asLength of humerusHumero-femoral index = ------------------------------------------------- x 100Length of femurIt is 69 in Europeans and 72.4 in Negroes.Intermembrai indexIt isLength of radius + humerusIntermembrai index = ---------------------------------------------------------- 100Length of tibia + femurIt is almost same (70) in Europeans and Negroes.OrbitIt is square in Pure Aryans (Indians), Negroes, and Arborigines. It is triangular in Chinese and Europeans. It is 'rounded' in Mongols.Nasal openingIt is broad in Pure Aryans (Indians), Negroes, and Arborigines. it is narrow and elongated in Chinese and Europeans. It is 'rounded' in Mongols.PalatePalate is rectangular in Pure Aryans (Indians), Negroes, and Arborigines. It is triangular in Chinese and Europeans. It is rounded (or horse shoe shaped) in Mongols.